A female presented with erythematous lesions on face with intolerance to spicy food is. Most likely diagnosis is?
1. Acne rosacea
2. SLE
3. Chloasma
4. LPP

Correct answer: 1. Acne rosacea

Explanation: Ans. is 'a' i.e., Acne rosacea * Acne rosacea 8c SLE both can present with erythematous rash over face but the intolerance to spicy food indicated towards the diagnosis of acne rosacea.Acne rosacea* Acne rosacea, commonly called rosacea, is a chronic non-curable skin disease with periodic ups and down. It occurs in middle age (30-50 years). It is more common in females, but is more severe in males. Rosacea is a centrofacial disease, i.e., it involves the central face -> Cheeks, Chin, Forehead, Nose, making typical cruciate pattern of involvement. Periorbital 8c perioral areas are spared.* Clinical features are intermittant flushing followed by more permanent erythma and telangiectasia. On this back-ground, erythmatous papules, papulo pustules and rarely nodules develop.* Lesions may be exacerbated by light (photosensitive), alcohol, hot or spicy foods, emotional stress, smoking, and heat.